Concomitant chemoradiotherapy is indicated in all of the following Except
1. Stage III B Ca cervix
2. T2 No Mo anal cancer
3. T2 No Mo Glottic cancer
4. TI N2 Mo Nasopharyngeal cancer

Correct answer: 3. T2 No Mo Glottic cancer

Explanation: Concomitant chemoradiotherapy is indicated in advanced cancers of head and neck T3 N0 M0 Glottic cancer represents stage II cancer which is defined as localised disease, which is not an indication for concomitant chemoradiotherapy Ref: Harrison's 19th edition Pgno : 503